Which of the following liver metastases appear hypoechoic on ultrasound
1. Breast cancer
2. Colon cancer
3. RCC
4. Mucinous adenocarcinoma

Correct answer: 1. Breast cancer

Explanation: Hepatic Metastases Metastases from breast cancer are typically hypoechoic (echo poor) on ultrasonography Metastases from carcinoma colon and RCC are typically hyoerechoic(echogenic) Metastases from mucinous adenocarcinoma of colon are typically calcified Sonographic pattern of hepatic metastases Echogenic- Neuroendocrine tumors, colonic carcinoma, Choriocarcinoma, RCC, Multifocal HCC Echopoor- Breast cancer, carcinoma pancreas, lung cancer, Lymphoma Ref: Focal liver lesions(springer)